Barr body is present in all except
1. Klinefelter syndrome
2. Turner syndrome
3. Mullerian agenesis
4. Congenital adrenal hyperplasia

Correct answer: 2. Turner syndrome

Explanation: Karyotype of Turner syndrome = 45X0.
No barr body, as there is no extra X chromosome.